Hypercalcemia associated with malignancy is most often mediated by
1. Parathyroid hormone (PTH)
2. Parathyroid hormone related protein (PTHrP)
3. Interleukin-6 (IL-6)
4. Calcitonin

Correct answer: 2. Parathyroid hormone related protein (PTHrP)

Explanation: Hypercalcemia is an abnormally high level of calcium in the blood, usually more than 10.5 milligrams per deciliter of blood.parathyroid hormone-related peptide (PTHrP), a hormone that can be produced by tumors, especially of the squamous cell type; massive overproduction can lead to hypercalcemia and other manifestations of hyperparathyroidism. PTHrP exerts a biologic action similar to that of parathyroid hormone (PTH), acting through the same receptor, which is expressed in many tissues but most abundantly in kidney, bone, and growth plate cartilage. Ref: Ganong's review of medical physiology; 24th edition; page no:-378